Which of the following statements about carcinogenesis is false?
1. Asbestos exposure increases the incidence of lung cancer
2. Papilloma viruses produce tumors in animals but not in humans
3. Exposure to aniline dyes predisposes to cancer of the urinary bladder
4. Hepatitis B virus has been implicated in hepatocellular carcinoma

Correct answer: 2. Papilloma viruses produce tumors in animals but not in humans

Explanation: Ans. is 'b' i.e. papilloma viruses produce tumours in animals but not in human "Human papilloma virus is the most common etiological factor for cervical cancer."Carcinogens and associated Cancers or Neoplasms:CarcinogensAssociated cancer or neoplasm* Alkylating agentsAcute myelocytic leukemia bladder cancer* AndrogensProstate cancer* Aromatic amines (dyes) (aniline dyes)Bladder cancer* ArsenicCancer of the lung, skin* AsbestosCancer of the lung, pleura, Peritoneum* Benzene vAcute myelocytic leukemia* ChromiumLung cancer* Diethylstilbestrol (Prenatal)Vaginal cancer (clear cell)* Epstein-Barr virusBurkitt's lymphoma, nasal T-Cell lymphoma* EstrogensCancer of the endometrium liver, breast* Ethyl alcoholCancer of the liver, esophagus, head and neck* Helicobacter pyloriGastric cancer* Hepatitis B or C virusLiver cancer* Human immunodeficiency virusNon-Hodgkin's lymphoma, Kaposi's sarcoma, squamous cell carcinomas (specially of the urogenital tract) Human papilloma virus* Human T cell lymphotropic virus type 1 (HTLV-1)Adult T cell leukemia/lymphoma* Immunosuppressive agents (azathioprine, cyclosporine, glucocorticoids)Non-Hodgkin's lymphoma* Nitrogen mustard gasCancer of the lung, head and neck, nasal sinuses* Nickel dustCancer of the lung, nasal sinuses* PhenacetinCancer of renal pelvis and bladder* Polycyclic hydrocarbonsCancer of the lung, skin (especially squamous cell carcinoma of scrotal skin)* * SchistosomiasisBladder cancer (squamous cell)* Sunlight (ultraviolet)Skin cancer (squamous cell & melanoma)* Tobacco (including smokeless)Cancer of the upper aerodigestive tract, bladder*Vinyl chlorideLiver cancer (angiosarcoma)